Which of the following laxatives lowers blood ammonia level in hepatic encephalopathy?
1. Bisacodyl
2. Liquid paraffin
3. Lactulose
4. Magnesium sulfate

Correct answer: 3. Lactulose

Explanation: (Ref: KDT 6/e p655) Lactulose is degraded to lactic acid that converts NH3 to NH4+. As ionic molecules cannot cross biological membranes, it is not absorbed and is thus excreted.